Occipito posterior position in labor, management is -
1. External cephalic version
2. Internal podalic version
3. Wait and Watch
4. Caesarean section

Correct answer: 3. Wait and Watch

Explanation: Out of total Occipito posterior position, -80% becomes OccipitoAnterior- Mode of delivery - Normal (hence it is preferable to wait and watch for spontaneous rotation to occur) -15-16% becomes persistent OccipitoPosterior occurs in anthropoid pelvis Mode of delivery - Face to pubis delivery -2-4% undergoes Deep transverse arrest occurs in android pelvis Mode of delivery - Manual rotation and forceps extraction(sagittal suture of baby should be in AP plane of pelvis) or cesarean section